All of the following diuretics inhibit Na+-K+2C1- symporter, EXCEPT:
1. Furosemide
2. Metolazone
3. Ethacrynic acid
4. Mersalyl

Correct answer: 2. Metolazone

Explanation: 1 . High efficacy diuretics (Inhibitors of Na-K-2Cl cotransport) Furosemide, Bumetanide, Torasemide, mersalyl 2.Medium efficacy diuretics {Inhibitors of Na-Cl symport) (a) Benzothiadiazole (thiazides) Hydrochlorothiazide, Benzthiazide, Hydroflumethiazide, Clopamide (b) Thiazide-like (related heterocyclics) Chlorthalidone, Metolazone, Xipamide, Indapamide. 3. Weak or adjunctive diuretics (a) Carbonic anhydrase inhibitors-Acetazolamide (b) Potassium-sparing diuretics (i) Aldosterone antagonist: Spironolactone (ii) Inhibitors of renal epithelial Na+ channel: Triamterene, Amiloride. (c) Osmotic diuretics-Mannitol, Isosorbide, Glycerol (Essentials of medical pharmacology, K.D Tripathi, 6th edition, page 561 )